On TVS which of the following shape of cervix indicates preterm labour :
1. T
2. Y
3. U
4. O

Correct answer: 3. U

Explanation: Ans. is c i.e. U